What is the volume of reservoir bag used in neonatal resuscitation –
1. 240 ml
2. 500 ml
3. 750 ml
4. 1000ml

Correct answer: 1. 240 ml

Explanation: Neonate → 250 ml, children upto 3 years → 500 ml, children > 3 years → 1000 ml, adults → 2000 ml.